A 70-year-old man presents with regurgitation of food, dysphagia, halitosis, and a sensation of 'lump in the throat'.
1. Pharyngeal pouch
2. Carcinoma esophagus
3. Diffuse esophageal spasm
4. Esophageal Dysmotility

Correct answer: 1. Pharyngeal pouch

Explanation: Ans. A Pharyngeal pouchRef: Bailey and Love, 26th ed. page 1018The key word is regurgitation of food with dysphagia which is seen with Pharyngeal pouch. When it is small, symptoms largely reflect only in-coordination with predominantly pharyngeal dysphagia. As the pouch enlarges, it tends to fill with food on eating, and the fundus descends into the mediastinum. This leads to halitosis and esophageal dysphagia.